Golden colour amniotic fluid is seen in:
1. Rh incompatibility
2. Foetal death
3. IUGR
4. Foetal distress

Correct answer: 1. Rh incompatibility